Night blindness is due to:
1. Vitamin A deficiency
2. Retinitis pigmentosa
3. High myopia
4. All of the above

Correct answer: 4. All of the above

Explanation: d all of the above refkhurana 3 rd/e p. 289